Ends of chromosomes replicated by:
1. Telomerase
2. Centromere
3. Restriction endonuclease
4. Exonuclease

Correct answer: 1. Telomerase

Explanation: A i.e. Telomerase